Which of the following is the least common site of pain in a case of rheumatoid arthritis?
1. Cervical
2. Knee
3. Low back
4. Ankle

Correct answer: 3. Low back